Which one of the following is a heterocyclic amino acid?
1. Leucine
2. Methionine
3. Alanine
4. Proline

Correct answer: 4. Proline

Explanation: (D) Proline # Proline is one of the nonessential amino acids, found in many proteins, especially collagen.> Because the nitrogen atom of its amino group is part of a ring structure (making it a heterocyclic compound), its chemical properties differ from those of the other amino acids in proteins.> It is used in biochemical, nutritional, and microbiological research and as a dietary supplement.